If the tooth is cut without removal of any part of crown or root is:
1. Hemisection
2. bicuspidisation
3. Amputation
4. Coronosection.

Correct answer: 2. bicuspidisation

Explanation: • Root Resection / Amputation is removal of root without removal of any crown portion
• In Hemisection one root with its corresponding crown portion is cut and removed
• In bicuspidisation the molar is simply cut without removal of any part of crown or root.
Hemisection and bicuspidisation are suitable for mandibular molars.